One DALY signifies:
1. 1 year of disease free life
2. 1 lost year of healthy life
3. 1 month of bed ridden life
4. None of these

Correct answer: 2. 1 lost year of healthy life

Explanation: 1 lost year of healthy life